Laryngeal cartilage forming complete circle is
1. Thyroid
2. Cricoid
3. Corniculate
4. Arytenoid

Correct answer: 2. Cricoid

Explanation: Ref: BD Chaurasia's HUMAN ANATOMY, Volume 3, 4th edition. Cricoid cartilage is shaped like a ring. It encircles the larynx below the thyroid cartilage. It is thicker and stronger than the thyroid cartilage. The ring has a narrow anterior part called the arch, and a broad posterior part called the lamina. The lamina projects upwards behind the thyroid cartilage and articulates superiorly with the arytenoid cartilages. The inferior cornua of the thyroid cartilage articulate with the side of the cricoid cartilage at the junction of the arch and lamina.